Inhibin inhibits:
1. LH releasing hormone
2. LH
3. Estrogen and progesterone
4. FSH

Correct answer: 4. FSH

Explanation: FSH